Which of the following hormones regulates blood levels of 1,25-OH-cholecalciferol positively:
1. Thyroxine
2. Parathormone
3. Insulin
4. Calcitonin

Correct answer: 2. Parathormone

Explanation: PTH - PTH acts in a positive feed forward manner in regulating vitamin D in response to | S. Ca At Ca2+ concentration below 9-10 mg /100 ml PTH promotes conversion of 25 -OH-cholecalciferol to 1,25 di OH cholecalciferol in the kidneys CALCITONIN - Peptide hormone secreted by thyroid gland - parafollicular cells / C. cells - Tends to decrease serum Ca level that is effect opposite to PTH INSULIN - Causes intracellular movement of plasma glucose | S. glucose